Dose of thiopentone used is
1. 2%
2. 2.50%
3. 3%
4. 5%

Correct answer: 2. 2.50%

Explanation: 2.50%